Insulin mediated uptake of glucose into muscle is through?
1. GLUT 2
2. GLUT 4
3. GLUT l
4. GLUT 3

Correct answer: 2. GLUT 4

Explanation: Ref: Harper's illustrated Biochemistry, 28th ed, chapter 20, pp-171.Explanation:TransporterLocated inPropertiesGluT1RBC, brain, kidney, colon, retina, placentaGlucose uptake in most of the cellsGluT2Intestinal cells (serosal surface), liver, beta cells of pancreasLow affinity, Glucose uptake in the liver, glucose sensor in beta cellsGluT3Neurons, brainHigh affinity. Glucose into brain cellsGluT4Skeletal & heart Muscle, adipose tissueInsulin mediated glucose uptakeGluT5Small intestine, testis, sperms, kidneyFructose transporter, poor ability transport glucoseGluT6------Nonfunctional proteinGluT7Liver endoplasmic reticulumGlucose from ER to cytoplasm